Which of the following is the richest source of Vitamin C ?
1. Orange
2. Guava
3. Cabbage
4. Amla

Correct answer: 4. Amla